Child presents after trauma to head with hyponatremia, volume depletion and increased excretion of urinary Na . What is the probable diagnosis?
1. Cerebral salt wasting syndrome
2. SIADH
3. Adrenal hemorrhage
4. Autonomic failure

Correct answer: 1. Cerebral salt wasting syndrome

Explanation: Answer- A. Cerebral salt wasting syndromeElectrolyte imbalance is common in traumatic brain injury (TBI), and contributes to brain swelling and to causing seizures.Cerebral salt wasting, a poorly understood form of excretory dysregulation in association with brain insult, leads to volume depletion and hlponatraemia.